Which of the following is not X linked condition?
1. Duchenne muscular dystrophy
2. Emery-Dreifuss muscular dystrophy
3. Facioscapulohumeral muscular dystrophy
4. Becker muscular dystrophy

Correct answer: 3. Facioscapulohumeral muscular dystrophy

Explanation: Ans. is 'c' i.e., Facioscapulohumeral muscular dystrophy o The two most common forms of muscular dystrophy are X-linked: Duchenne muscular dystrophy and Becker muscular dystrophy. o Facioscapulohumeral muscular dystrophy is autosomal-dominant. o Emery-Dreifuss muscular dystrophy is X-linked.